Cereals are rich in which amino acid ?
1. Lysine
2. Threonine
3. Tiyptophan
4. Methionine

Correct answer: 4. Methionine

Explanation: Ans. is 'd' i.e., Methionine "Pulses have high lysine content and are deficient in methionine; on the other hand cereals have an abundance of methionine"